Pseudomembranous colitis, all are true except -
1. Toxin A is responsible for clinical manifestation
2. Toxin B is responsible for clinical manifestation
3. Blood in stools is a common feature
4. Summit lesions is early histopathological finding

Correct answer: 3. Blood in stools is a common feature

Explanation: Ans. is 'c' i.e., Blood in stools is a common feature